In which of the types of Hysterectomy, uterine vessels are ligated at the level of ureter
1. Type - I
2. Type - II
3. Type - III
4. Type - IV

Correct answer: 2. Type - II

Explanation: Type II: Modified Radical hysterectomy

Parametria and paracolps - is removed medial to ureter.
Uterine vessels ligated at level of ureter.
Uterosacral ligament transected midway between uterus and rectum.
1-2 cm of vagina is removed.